Which of the following is given as live oral vaccine -
1. B.C.G
2. Measles
3. Typhoid
4. Rabies

Correct answer: 3. Typhoid